Most common location for diffuse axonal injuries:
1. Brain stem
2. Corpus callosum
3. Anterior 1/3rd of spinal cord
4. Junction of grey and white matter

Correct answer: 4. Junction of grey and white matter

Explanation: Diffuse axonal injury is caused  by shearing tension developed because of sudden acceleration or deceleration most commonly involving lobar junction of white and grey matter followed by corpus callosum and brain stem respectively.